Calcification of soft tissues without any disturbances of calcium metabolism is called:
1. Inotrophic calcification
2. Monotrophic calcification
3. Dystrophic calcification
4. Calcium induced calcification

Correct answer: 3. Dystrophic calcification

Explanation: Pathologic calcification is abnormal deposition of calcium, with small amount of iron, magnesium and other mineral salts in tissues. Dystrophic calcification is encountered in areas of necrosis, whether they are of coagulative, caseous, or liquefactive type, and in foci of enzymatic necrosis of fat. It is seen in dead/dying cells with normal serum calcium levels and metabolism Metastatic calcification may occur in normal tissues in cases of hypercalcemia. There are four principal causes of hypercalcemia: Increased secretion of parathyroid hormone (PTH) resorption of bone tissues, secondary to primary tumors of bone marrow (e.g., multiple myeloma, leukemia) Vitamin D-related disorders Renal failure